DNA microarrays allow detection of Gene mutations using?
1. Polymerase Chain Reaction
2. Cloning
3. Southern Blotting
4. Hybridization

Correct answer: 4. Hybridization

Explanation: ANSWER: (D) HybridizationREF: Harrisons 17 Edition, Table 62-9 chapter 62, Biology by Raven Tata McGraw-Hill Education p 331, http://en.wikipedia.org/wiki/DNA_microarray"A DNA microarray (also commonly known as gene chip, DNA chip, or biochip) is a collection of microscopic DNA spots attached to a solid surface. The core principle behind microarrays is hybridization between two DNA strands, the property of complementary nucleic acid sequences to specifically pair with each other by forming hydrogen bonds between complementary nucleotidebase pairs"MethodPrincipleType of Mutation DetectedCytogenetic analysisUnique visual appearance of various chromosomesNumerical or structural abnormalities in chromosomesFluorescent in situ hybridization (FISH)Hybridization to chromosomes with fluorescently labeled probesNumerical or structural abnormalities in chromosomesSouthern blotHybridization with genomic probe or cDNA probe after digestion of high molecular DNALarge deletion, insertion, rearrangement, expansions of triplet repeat, amplificationPolymerase chain reaction (PCR)Amplification of DNA segmentExpansion of triplet repeats, variable number of tandem repeats (VNTR), gene rearrangements, translocations; prepare DNA for other mutation methodsDNA sequencingSequencing of DNA segments clonedinto plasmid vectorsDirect sequencing of PCR productsPoint mutations, small deletions and insertionsRestriction fragmentpolymorphism(RFLP)Detection of altered restriction pattern of genomic DNA (Southern blot) or PCR productsPoint mutations, small deletions and insertionsMicroarraysHybridization of PCR products to midtype or mutated oligonucleotidesPoint mutations, small deletions and insertionsGenotyping of SNPs